Renauld Braude phenomenon is seen in -
1. Candida albicans
2. Candida pscittasi
3. Histoplasma
4. Cryptococcus

Correct answer: 1. Candida albicans

Explanation: Ans. is 'a' i.e., Candida albicans Candida o Candida albicans is the most common cause of mucosal candidiasis. o All Candida species pathogenic for humans are also encountered as commensals of humans, particularly in the mouth, stool and vagina. o They grow rapidly on simple media as oval budding cells at 25deg to 37o C. o In tissue, both yeasts and pseudohyphae are present, o Candida albicans is differentiated by other Candida: It forms true hyphae (mycelia) or germ tubes when grown in serum. It forms thick walled large spores called chlamydospores when grown on corn meal agar. It is dimorphic. o A rapid method of identifying Co. albicans is based on its ability to form germ tubes within two hours when incubated in human serum at 37degC - Reynolds - Braude phenomenon {Also known as germ tube test).